One of the following is a side effect of clofazimine used in leprosy therapy – a) Hyperpigmentationb) Erythemac) Discoloration of body secretionsd) Macular rash
1. a
2. ac
3. ad
4. b

Correct answer: 2. ac

Explanation: Adverse effects of clofazimine

1.  Skin →   Reddish-black discolouration of skin, dryness of skin and itching, Discolouration of hair and body  secretions, acneform eruptions and phototoxicity, conjuctival pigmentation.
2.   GIT →   Enteritis with loose stools, nausea, abdominal pain, anorexia and weight loss.